Blowout injury refers to what
1. Fracture of orbit
2. Fracture of maxillary antrum
3. Fracture of temporal bone
4. Open Fracture from inside out of a long bone

Correct answer: 1. Fracture of orbit

Explanation: The floor of orbit is its weakest wall and in blunt trauma such as a blow from a fist ,it is often fractured without fractures of the other walls.This is called blow-out fracture Bailey & Love ,26th,627.